Mechanism of action of Nitric oxide is through :
1. cGMP
2. cAMP
3. Ca++
4. Tyrosine

Correct answer: 1. cGMP

Explanation: A i.e. cGMP